The following tests are related to blood coagulation disorders in obstetrics except:
1. Thrombocytopenia is a feature of fibrinolytic process and not of DIG
2. In Die, RBC will be 'helmet' shaped or fragmented in fibrinolytic process, the cell morphology is nominal
3. Weiner clot observation test gives a rough estimstfi of total blood fibrinogen level
4. Thrombocytopenia can be diagnosed from the peripheral smear

Correct answer: 1. Thrombocytopenia is a feature of fibrinolytic process and not of DIG

Explanation: A complete coagulation profile is done which includes fibrinogen,fibrin degradation products,partial thromboplastin time,prothrombin time,platelet count.The best marker of severity is the fibrinogen level (refer pgno:137 sheila textbook of obstetrics 2 nd edition)